Styloid process is derived from
1. First arch
2. Second arch
3. Third arch
4. Fourth arch

Correct answer: 2. Second arch

Explanation: The styloid process,the stylohyoid ligament and muscle are derived from the second branchial arch. REF.BDC VOL.3,Fifth Edition,